All of the following are associated with proximal muscle weakness except -
1. Spinomuscular atrophy
2. Duchenis muscular dystrophy
3. Polymyositis
4. Myotonic dystrophy

Correct answer: 4. Myotonic dystrophy

Explanation: Ans. is 'd' i.e., Myotonic dystrophy o The general rule in that : Myopathies have proximal muscle weakness. Neuropathies have distal muscle weakness. o Myotonic dystrophy is an exception to this general rule and mainly involves the distal muscles. Also know o The difference between myopathy and muscular dystrophy. Myopathy Any skeletal muscle disorder that causes structural changes or functional impairment of muscle. It also includes muscular dystrophies. Muscular dystrophy The muscular dystrophy means abnormal growth of muscle. It is characterized by - i) It is a primary myopathy iii) Course is progressive ii) It has genetic basis iv) Degeneration & Death of muscle fibers occur at some stage of the disease So, muscular dystrophy is a type of myopathy.